All are risk factors for vaginal candidiasis except :
1. HIV
2. Hypertension
3. Pregnancy
4. Diabetes melitus

Correct answer: 2. Hypertension

Explanation: Vaginal candidiasis Predisposing factors Diabetes: Increased glycogen in cells leading to increased lactic acid and acidic PH Pregnancy: Increased vaginal acidity Broad spectrum antibiotics Combined oral pills Immunosupression HIV Steroids Thyroid and Parathyroid disease Obesity Ref: D.C.DUTTA'S TEXTBOOK OF GYNAECOLOGY; 6TH Edition; Pg No:164